Berger disease does not involve
1. Artery
2. Veins
3. Nerve
4. Lymphatics

Correct answer: 4. Lymphatics

Explanation: Ans. (d) Lymphatics(Ref: Robbins 9th/pg 512; 8th/pg 517)Buerger's disease: Segmental, thrombosing, acute and chronic inflammation of medium-sized and small arteries, principally the tibial and radial arteries, with occasional secondary extension into the veins and nerves of the extremities